All of the following statements about thrush are true
EXCEPT
1. It is caused by a gram-negative fungus
2. It is characterized by a plaque of proliferating epithelial and other cells
3. It is a complication of immunosuppression or systemic disease
4. It can affect neonates in an epidemic fashion

Correct answer: 1. It is caused by a gram-negative fungus